Thymidylated RNA present in
1. mRNA
2. rRNA
3. tRNA
4. 16-S-RNA

Correct answer: 3. tRNA

Explanation: The only RNA which contains thymidine (ribothymidine) is tRNA.